Low birth weight baby is defined as baby weighing:
1. 1000 gm
2. 1500 gm
3. 2000 gm
4. 2500 gm

Correct answer: 4. 2500 gm

Explanation: Ans. D: 2500 gm Low birth weight (LBW) is defined as a fetus that weighs less than 2500 g (5 lb 8 oz) regardless of gestational age. Other definitions include Very Low Birth Weight (VLBW) which is less than 1500 g, and Extremely Low Birth Weight (ELBW) which is less than 1000 g. Normal Weight at term delivery is 2500 g - 4200 g. SGA is not a synonym of LBW, VLBW or ELBW. Small for gestational age (SGA) babies are those whose birth weight, length, or head circumference lies below the 10th percentile for that gestational age